Two or more oligoclonal bands in cerebrospinal fluid are most often positive in-
1. Acute bacterial meningitis
2. Multiple sclerosis
3. Subarachnoid harmorrhage
4. Polyneuropathy

Correct answer: 2. Multiple sclerosis

Explanation: Oligoclonal bands (OCBs) are bands of immunoglobulins that are seen when a patient's blood serum, or cerebrospinal fluid (CSF) is analyzed. They are used in the diagnosis of various neurological and blood diseases, especially in multiple sclerosis. The blood serum can be gained from a clotted blood sample. Ref Davidson 23rd edtion pg 450